When transfer factor is given as treatment results in -
1. Natural active immunity
2. Artificial active immunity
3. Artificial passive immunity
4. Adoptive immunity

Correct answer: 4. Adoptive immunity

Explanation: Adoptive immunity: a special type of immunisation is the injection of immunologically competent lymphocytes. - instead of whole lymphocytes, an extract of immunologically competent lymphocytes, known as the transfer factor can be used. This has been attempted in the treatment of certain types of diseases like lepromatous leprosy. Reference: Anathanarayan & paniker's 9th edition, pg no:84